The region of myocardium most prone for infarction is:
1. Rt. ventricular epicardial
2. Lft. ventricular epicardial
3. Rt. Ventricular sub endocardial
4. Lft. Ventricular sub endocardial

Correct answer: 4. Lft. Ventricular sub endocardial